Which of the following is not a feature of severe ulcerative colitis?
1. 4 - 6 bowel movements per day
2. Pulse rate of 96 per minute
3. Spontaneous bleeding seen on endoscopy
4. ESR 50mm

Correct answer: 1. 4 - 6 bowel movements per day

Explanation: Ans. is 'a' i.e., 4-6 bowel movements per day * Patients with > 6 bowel movements per day are considered to have severe disease.Ulcerative colitis: disease presentation MildModerateSevereBowel movements<4 per day4-6 per day>6 per dayBlood in stoolSmallModerateSevereFeverNone<37.5degC mean(<99-5degF)>37.5degC mean(> 99.5degF)TachycardiaNone<90 mean pulse> 90 mean pulseAnemiaMild>75%30 < minSedimentation rateEndoscopic appearanceErythema, decreased vascular pattern, fine granularityMarked erythema, coarse granularity, absent vascular markings, contact bleeding, no ulerationsSpontaneous bleeding ulcerations